Danazol used in the treatment of endometriosis causes which of the following changes within the endometrium and endometriosis tissue?
1. Aplasia
2. Atrophy
3. Hyperplasia
4. Neoplasia

Correct answer: 2. Atrophy

Explanation: Danazol Isoxazole derivative of 17 - alpha ethinyl testosterone properties Causes atrophy of endometrium It is strictly antigonadotropin but acts as an androgen agonist Mode of action Acting on the hypothalamo - pituitary - gonadal axis - depression of frequency of GnRh pulses - suppression of pituitary FSH and LH surge. There is however no change in the basal gonadotropin level Indication of danazol Endometriosis DUB Symptomatic fibroid Precocious puberty